CGG repeat sequence is found in
1. Fragile X syndrome
2. Huntingtons chorea
3. Dentatorubropallidolusyian atrophy
4. Machado joseph disease

Correct answer: 1. Fragile X syndrome

Explanation: Expansions affecting non-coding regions Disease Protein Repeating Sequence Fragile X syndrome FMR-1 protein CGG Friedrich ataxia Frataxin GAA Myotonic Dystophy Myotonic dystrophy protein kinase (MDPK) CTG